All of the following are causative factors for Infertility in PID except?
1. Cornual block.
2. Loss of cilia of the fallopian tubes.
3. Loss of Peristalsis of the fallopian tubes.
4. Anovulation

Correct answer: 4. Anovulation

Explanation: Important factors for Infertility in a case of PID are-- Cornual block, Loss of cilia, Loss of peristalsis due to thickening of the tubal wall, Closure of the Abdominal ostium and distortion of the tube due to Peritubal adhesions.